Most sensitive index for the recent malarial transmission is
1. Spleen rate
2. Infant Parasite rate
3. Parasite Rate
4. Slide Falciparum rate

Correct answer: 2. Infant Parasite rate